Vertebral plana is a finding in a child with
1. Hyperparathyroidism
2. Osteomalacia
3. Eosinophilic granuloma
4. None of the above

Correct answer: 3. Eosinophilic granuloma

Explanation: Ans. (c) Eosinophilic granuloma.Vertebra plana or pancake vertebra is the term given when a vertebral body has lost almost its entire height anteriorly and posteriorly, representing a very advanced crush fracture. It can occur with a variety of settings, including:1. Trauma2. Osteoporosis3. Eosinophilic granuloma (LCH)4. Osteogenesis imperfecta5. Leukemia6. Vertebral metastases7. Multiple myeloma8. Lymphoma9. Osteomyelitis